All of the following extraintestinal manifestations of ulcerative colitis respond to colectomy except -
1. Primary sclerosing cholangitis
2. Pyoderma gangrenosum
3. Episcleritis
4. Peripheral arthralgia

Correct answer: 1. Primary sclerosing cholangitis